Plasmacytoid Lymphomas may be associated with:
1. IgG
2. IgM
3. IgA
4. IgE

Correct answer: 2. IgM

Explanation: The pathological picture characterised by serum IgM paraproteinemia and pleomorphic infiltration of lymphocytes, abnormal plasma cells and intermediate cell forms in the bone marrow is termed as Plasmacytoid lymphocytic Lymphomas (Waldenstrom's Macroglobulinemia). Ref: Postgraduate Medical Journal, September 1981, Page 57, 588 - 591; Harrison's Principles of Internal Medicine, 16th Edition, Page 661.